New name of mental retardation according to American Association of Mental Retardation is
1. Feeble Mindedness
2. Subnormal intelligence
3. Intellectual disability
4. Mentally unstable

Correct answer: 3. Intellectual disability

Explanation: (C) Intellectual disability[?]Intellectual disability (ID) or Mental retardation (MR) also known as general learning disability, is a generalized neurodevelopmental disorder characterized by significantly impaired intellectual and adaptive functioning.ICD-10 conceptualization of mental retardation (MR) with the concept of intellectual developmental disorders (IDD) in ICD-11.Intellectual Disability (ID) has widely replaced MR for policy, administrative, and legislative purposes in many industrialized countries and in an increasing number of low- and middle-income countries.Intellectual was favored because in most countries it is widely used, and is broadly acceptable in many contexts.Main descriptors of IDD include:Marked impairment of core cognitive functions that can have different patterns.This impairment affects the development of knowledge, reasoning, and symbolic representation, according to the level expected for age peers and the cultural and community environment.Problems with verbal comprehension, perceptual reasoning, working memory, and processing speed.The cognitive impairment is associated to difficulties in learning, academic, and practical knowledge.Problems with adaptive behavior with limitations in relevant conceptual, social, and practical skills.Difficulties in managing behavior, emotions, interpersonal relationships, and motivation.IDD is a life span condition requiring consideration of developmental stages and life transitions.IDD (a clinical meta-syndrome) & intellectual disability (the functioning/disability counterpart), which have different scientific, social, & policy applications. FEATUTES OF MILD, MODERATE, SEVERE & PROFOUND INTELLECTUAL DISABILITY MildModerateSevere/ProfoundIQ range50-6935-49<35% of cases85%10%5%Ability to self careIndependentNeed some helpLimitedLanguageReasonableLimitedBasic or noneReading & WritingReasonableBasicMinimal or noneAbility to workSemiskilledUnskilled, supervisedSupervised basic taskSocial skillNormalModerateFewAetiology discoveredSometimesOftenUsuallyAcademic skill6th grade or higher2nd to 3rd grade-Other Options[?]Feeble-mindedness:Obsolete term for mental retardation, which is also called intellectual developmental disorder.[?]Subnormal intelligence is associated with:Although aggression can occur in relation to an ictus, as exemplified by this patient's sub-acute postictal aggression, most aggression among epilepsy patients is not related to epileptiform activity.Aggression in epilepsy is usually associated with psychosis or with intermittent explosive disorder and correlates with-subnormal intelligence, lower socioeconomic status (SES)-Childhood behavior problems-Prior head injuries-Possible orbital frontal damage.[?]Mentally unstable or Mental Illness:Mental instability, or mental illness, is a condition that greatly affects a person's thoughts and behaviors.Individuals who are mentally unstable often experience difficulty coping with the everyday functions, demands and challenges of life.There are several signs and symptoms that indicate a person is suffering from a mental instability.With treatment and care, many individuals are able to learn to cope with mental illness.